Patient with Injury to facial nerve in stylomastoid canal will show
1. Hyperacusis
2. Loss of taste sensation on ipsilateral side of tongue
3. Loss of corneal reflex
4. Loss of pupillary reflex

Correct answer: 3. Loss of corneal reflex